A 32 years old male, who recently visited a sea coast presented with ulcer over the left leg. The probable cause is:
1. Pasteurella multocida
2. Micrococcus halophillus
3. Vibrio vulnificus
4. Neisseria gonorrhea

Correct answer: 3. Vibrio vulnificus

Explanation: The probable cause is Vibrio vulnificus, as there is history of contact with sea water. Option 3 V. vulnificus: Primary wound infection: causes primary wound infection (Ulcer) without underlying disease {contact of open wound with sea water}. Also called (L+) Vibrio as it is the only vibrio that ferments lactose. It produces the most severe infection of all vibrios. Primary sepsis usually occurs in patients with underlying liver disease and iron overload or rarely in renal insufficiency and immunosuppression. Occasionally, it may cause gastroenteritis. Option 1 Pasturella multocida: It is probably the most common organism in human wounds inflicted by the bites of cats and dogs. No such history is given in the question above. Option 2 Micrococci in comparison to staphylococci are larger in size on microscopy. In smears, they appear as Gram-positive cocci arranged in tetrads. Frequently seen as normal skin flora. Option 4 Neisseria gonorrhea causes Gonorrhea which is a venereal disease.